The treatment of choice for an 8 mm retained common bile duct (CBD) stone is
1. Laparoscopic CBD exploration
2. Percutaneous stone extraction
3. Endoscopic stone extraction
4. Extracorporeal shock wave lithotripsy

Correct answer: 3. Endoscopic stone extraction

Explanation: For CBD stones, endoscopic papillotomy is the preferred first technique with a sphincterotomy, removal of stones using Dormia basket or balloon catheter.ERCP can be used to remove retained CBD stones in 3 weeks of surgery. Reference: SRB's manual of surgery,5th edition, page no:652.